A young female presents with verrucous vegetations on the surface of mitral valve cusps. The most likely diagnosis is:
1. Rheumatic Fever
2. Marantic Endocarditis
3. Libman Sacks Endocarditis
4. Infective Endocarditis

Correct answer: 3. Libman Sacks Endocarditis

Explanation: Answer is C (Libman Sacks Endocarditis) Verrucous vegetations on the surface of mitral valve cusps are typical of Libman-Sacks Endocarditis. Libman Sacks Endocarditis is also known as Atypical Verrucous endocarditis (Dorland's) Verrucous (wart like) vegetations are typically seen in Rheumatic Fever and Libman-Sacks Endocarditis. In rheumatic fever these are typically located along the lines of closure while in Libman-Sacks endocarditis they are usually located on the surface of cusps (commonly under-surface).